Punched-out, crater-like depressions at the crest of the gingiva, covered by gray pseudo- membranous slough, which is demarcated from the remainder of the gingiva by linear erythema, are characteristic of
1. Desquamative gingivitis
2. Erythema multiforme
3. Lichen planus
4. Vincent's stomatitis

Correct answer: 4. Vincent's stomatitis